Which is NOT an oncogenic virus :
1. HTLV-1
2. Herpes simplex
3. Papilloma virus
4. HBV

Correct answer: 2. Herpes simplex

Explanation: Ans. is 'b' i.e. Herpes Simplex * Viruses associated with cancersFamilyVirusHuman Cancer* Papova viridae* Human Papilloma VirusGenital tumourssq.cell caoropharyngeal ca* Herpes viridae* E B virusNasopharyngeal CaAfrican Burkin's Lymphoma B cell lymphoma* Hepadnaviridae* Hepatitis B virushepatocellular carcinoma* Retroviridae* HTL virusAdult T cell leukemia* Flaviviridae* Hepatitis C VirusHepatocellular Carcinoma* But Herpes simplex viruses have also been mentioned to be oncogenic in Paniker, 6/e, p534."An association has been proposed between herpes simplex type 2 infection and Cancer of the uterine cervix, though not proved. It has also been suggested that herpes simplex type I infection may be associated with cancer of the lip *But still I would go with Herpes simplex as the answer because "only an association has been proposed" not confirmed.